As per the revised norms for Anganwadi centers, how many centers are needed for a population of 1950 people in a rural area?
1. 1
2. 2
3. 3
4. 4

Correct answer: 3. 3

Explanation: The required number of AWC's in rural/urban projects is given below 1 AWC's for 400 - 800 people 2 AWC's for 800 - 1600 people 3 AWC's for 1600 - 2400 people And then add 1 AWC's for every multiple of 800. In case of mini AWC the norm is 1 mini AWC for 150 - 400 population. Ref: Park, 21st Edition, Page 544.